A 30 year old lady presents with obsessions and compulsions and is diagnosed to have OCD. Which of the following is not true about her condition?
1. Ego Alien
2. Insight is present
3. Failure to resist
4. Ego syntonic

Correct answer: 4. Ego syntonic

Explanation: Obsessive compulsive disorder is an anxiety disorder, characterised by recurrent obsessions or compulsions which cause marked distress and functional impairment. In this, patients have insight about the illness but are unable to resist their actions. This is ego dystonic. Ego syntonic traits are seen in patients with personality disorders. Something that goes with the ego is called ego syntonic and something that goes against the ego is called ego dystonic. Reference: Current Diagnosis & Treatment: Psychiatry, 2e chapter 21